Isbella Ducan syndrome is:-
1. Suicidal Hanging
2. Children abuse
3. Accidental strangulation
4. Schizophrenia

Correct answer: 3. Accidental strangulation

Explanation: Long scarf syndrome or long scarf syndrome:(Isbella Ducan syndrome) Accidental ligature strangulation may occur in the 'long-scarf syndrome' in which a clothing around the victim's neck (scarf or 'chunni/dupatta') becomes entangled, usually in a stationary or moving mechanical device (e.g. rickshaw or scooter wheel). The clothing becomes increasingly constricted owing to the continued action of the machine.